MHC class III genes encode
1. Complement component C3
2. Interleukin 2
3. Tumor necrosis factor
4. Beta 2 microglobulin

Correct answer: 3. Tumor necrosis factor

Explanation: *HLA class III contains genes for
• Complement components C2 and C4 of classical pathway (Not C3)
• Properdin factor B of alternate pathway
• Tumor necrosis factor: Alpha and Beta
• Heat shock protein 70 
• Enzyme tyrosine hydroxylase
• Genes for MHC (also known as HLA) are located on short arm of chromosome 6.